The arch of aorta lies in the ---- mediastinum -
1. Posterior
2. Anterior
3. Middle
4. Superior

Correct answer: 4. Superior

Explanation: Arch of aorta lies in superior mediastinum.